Pre-renal azotemia is associated with one of the following characteristic feature -
1. Urinary Na+ < 10 mmol/L
2. Renal failure index > 1
3. Osmolality < 500
4. Urinary creatinine/P. creatinine ratio < 20

Correct answer: 1. Urinary Na+ < 10 mmol/L